In conduction system of heart the maximum velocity of conduction is seen in?
1. SA node
2. AV node
3. Bundle of HIS
4. Purkinje fibers

Correct answer: 4. Purkinje fibers

Explanation: Purkinje fibers are characterized by action potentials with a low resting membrane potential (-- 90 mV), a rapid maximum upstroke velocity (500 to 700 V/s), and, therefore, a rapid conduction velocity. Purkinje's fibres have many gap junctions which allows the rapid flow of current and hence the conduction velocity is maximum in Purkinje's fibres. This rapid conduction allows simultaneous contraction of both the ventricles. Ref: Moss and Adams' Heart Disease in Infants, Children, and Adolescents ... By Arthur J. Moss, Hugh D. Allen, M.D., 2007, Page 24, Table 1.2; Guyton's physiology, 22nd edition, Page 105.